In the following food items, which one has the highest 'Glycemic Index'
1. Corn - flakes
2. Brown rice
3. Ice - cream
4. Whole wheat bread

Correct answer: 1. Corn - flakes

Explanation: Glycemic index :

Corn flakes - 80 - 90.
Whole wheat bread - 70 - 79.
Brown rice - 60 - 69.
Ice cream - <40.